Most common site of ectopic pancreatic tissue is
1. Stomach
2. Jejunum
3. Appendix
4. Hilum of spleen

Correct answer: 1. Stomach

Explanation: Ectopic pancreatic tissue, also known as heterotopic pancreatic tissue, refers to the presence of pancreatic tissue in the submucosal, muscularis or subserosal layers of the luminal gastrointestinal tract outside the normal confines of the and lacking any anatomic or vascular connection with the main pancreas. Recognized locations for ectopic pancreatic tissue include: proximal proximal jejunum